What is the clearance of a substance when its concentration in the plasma is 10 mg/dl, its concentration in the urine is 100 mg/dl & urine flow is 2 ml/min:
1. 2 ml/min
2. 10 ml/min
3. 20 ml/min
4. 200 ml/min

Correct answer: 3. 20 ml/min

Explanation: The Clearance of a Substance 'X' is equal to the concentration of substance X in urine (UX) times the urine flow per unit of time (V.) divided by the arterial plasma level of X (PX), or UXV./PX.
This value is called the clearance of X (CX).